A 70-year-old man has isolated systolic hypertension. On examination, his blood pressure is 170/80 mm Hg, heart and lungs are normal. He has no other medical conditions.For patient with high blood pressure, select the most appropriate medication
1. thiazides
2. spironolactone
3. clonidine
4. prazosin

Correct answer: 1. thiazides

Explanation: Thiazides seem to work particularly well in Blacks and the elderly. Younger individuals and Whites respond well to beta-blockers, ACE inhibitors, and calcium channel antagonists. Isolated systolic hypertension is a common occurrence in the elderly. It is due to arteriosclerosis of the large arteries. Treatment of isolated systolic hypertension with low-dose thiazides results in lower stroke rates and death. The goal for treatment is a blood pressure of 140/90 mm Hg.